Dowry death is defined under section
1. 304A IPC
2. 304B
3. 174Cr. P. C
4. 176Cr. P. C

Correct answer: 2. 304B

Explanation: Dowry death is defined under section 304 B *According to this if husband or his relative subjects the woman to cruelty or harassment in demand of dowry within 7 years of marriage,they shall be deemed to have caused her death *The punishment for such cases is improvement for not less than 7 years,but may be extended to life imprisonment OptionA :Section 304 A IPC:Causing death by negligence Option C:Section 174 Cr. P. C:Police inquest Option D:Section 176 Cr. P. C. Magistrate inquest Textbook of Forensic Medicine and toxicology 2nd edition pg333